A person experiences throbbing pain at night. It is due to
1. Acute pulpal degeneration
2. Acute periodontal abscess
3. Chronic pulpitis
4. Cellulitis

Correct answer: 1. Acute pulpal degeneration